Atropine used in preanaesthetic produces all EXCEPT
1. Bronchoconstriction
2. Vagolytic effect
3. Muscarinic blockage
4. Decreased secretions

Correct answer: 1. Bronchoconstriction

Explanation: (A) Bronchoconstriction> All visceral smooth muscles that receive parasympathetic motor innervation are relaxed by Atropine.> Atropine causes: Relaxes smooth muscles of bronchus - causes Bronchodilation Relaxes smooth muscles of stomach and intestine - causes Constipation> Relaxes smooth muscle of ureter and bladder - causes Urinary retention> Relaxes smooth muscles of the iris - causes Mydriasis> Inhibits parasympathetic outflow to the heart - causes Tachycardia.